The small intestine is characterized by basal crypts and superficial villi (Figure below). Where does cell division take place?Schematic representation of villi and crypts of Lieberkuhn
1. Submucosa
2. Crypts
3. Villi
4. Small-bowel lumen

Correct answer: 2. Crypts

Explanation: Small-bowel turnover can be measured in rats by autoradiographic studies in which turnover of cells located in the crypts migrate along the villus toward the tip over a 2- to 3- day period. Intestinal villous mucosa undergoes hypertrophy and hyperplasia whenever an increased food load continuously enters the small intestine.